A 25-year old nulliparous woman presents with third degree uterine descent but no cystocele or rectocele. She is best treated with
1. Abdominal sling operation
2. Lefort's operation
3. Fothergill's repair
4. Amputation of the cervix and reconstruction

Correct answer: 1. Abdominal sling operation

Explanation: (A) Abdominal sling operation # Operation preserves menstrual and child bearing functions.> However, fertility is somewhat reduced because of the amputation of the cervix causing loss of cervical mucus.> It is suitable for women under 40 years who are desirous of retaining their menstrual and reproductive function> Shirodkar's abdominal sling for uterine prolapse. This operation was designed to meet the special needs of the case of a nulliparous prolapse having inherently weak supports.> Abdominal sling operation (uteropexy) have been designed for young women suffering from II or El UV prolapse and who are desirous of retaining their childbearing / menstrual function.